Which of the following disease modifying anti- rheumatoid drugs is a prodrug?
1. Etanercept
2. Nimesulide
3. Sulfasalazine
4. Colchicine

Correct answer: 3. Sulfasalazine

Explanation: - Sulfasalazine is a pro-drug. - It dissociates in the colon to produce 5-ASA (MESELAMINE) and sulfapyridine. - 5-ASA is the active moiety in treatment of ulcerative colitis whereas sulfapyridine is used to treat rheumatoid arthritis.